Clavicular fracture is usually treated by:
1. Traction
2. Open Reduction and Internal fixation
3. Figure of eight bandage
4. Plate and Screw fixation

Correct answer: 3. Figure of eight bandage

Explanation: Clavicular fracture Inferior displacement of the lateral fragment in clavicle fractures is due to gravity acting on the I/L arm. The medial segment is held up by the action of the SCM Clavicle Fracture Treatment:- A figure-of-8 bandage-the purpose of immobilisation, and gives pain relief. Open reduction and internal fixation is required, either when the fracture is associated with neurovascular deficit, or in some severely displaced fractures, where it may be more of a cosmetic concern. In such cases, the fracture is fixed internally with a plate or a nail.